alpha-fetoprotein is detected in case of -
1. Hepatocellular Ca
2. Colonic cancer
3. Tuberculoma
4. Renal cell Ca.

Correct answer: 1. Hepatocellular Ca

Explanation: Harshmohan textbook of pathology 7th edition. *alpha fetoprotien is a Timor marker for hepatocellulr carcinoma and non seminomatous germ cell Tumor of testes